Medial calcification is seen in?
1. Atherosclerosis
2. Arteriolosclerosis
3. Monckeberg sclerosis
4. Dissecting aneurysm

Correct answer: 3. Monckeberg sclerosis

Explanation: Ans. (c) Monckebergs sclerosisRef: Robbin's pathology 9th ed. 1491* Monckebergs arteriosclerosis, also called medial calcific sclerosis, is a form of arteriosclerosis or vessel hardening, where calcium deposits form in the middle layer of the walls of medium sized vessels (the tunica media)* It is usually more benign than other forms of arteriosclerosis because it does not cause narrowing of the lumen, but can still be associated with important medical conditions. Monckebergs arteriosclerosis is most commonly found in the radial or ulnar arteries causing "pipestem" arteries, which will present as a bounding pulse.* It is associated with trophic foot ulceration and peripheral artery occlusive disease.* Its presence predicts risk of cardiovascular events and leg amputation in diabetic patients.